Haemostasis in scalp wound is best achived by -
1. Direct presure over the wound
2. Catching and crushing the b;,=.eders by haemostats
3. Eversion of galea aponeurotica
4. Coagulation of bleeders

Correct answer: 1. Direct presure over the wound